A 40 year old female patient complains of swelling on both the legs. Patient is pregnant (3rd trimester). Which type of thrombosis is most likely to be present in this patient?
1. Venous
2. Arterial
3. Mural
4. Saddle

Correct answer: 1. Venous